A 45 year old female presents with symptoms of acute Cholecystitis. On USG there is a solitary gallstone of size 1.5cm. Symptoms are controlled with medical management. Which of the following is the next most appropriate step in the management of this patient?
1. Regular follow up
2. IV Antibiotics
3. Laparoscopy cholecystectomy immediately
4. Open cholecystectomy immediately

Correct answer: 3. Laparoscopy cholecystectomy immediately

Explanation: Cholecystectomy is the definite line of treatment for patients with acute cholecystitis. Early cholecystectomy performed within 2-3 days of presentation is preferred over interval or delayed cholecystectomy. Ref: Bailey and Love's Short Practice of Surgery, 25th Edition, Page 1121; Sabiston Textbook of Surgery, 18th Edition, Pages 1558-59; Schwartz Principles of Surgery, 8th Edition, Page 1199; Harrison's Internal Medicine, 17th Edition, Page 1195; Mastery of Surgery By Josef E. Fischer, Volume 1, Page 1117